Brugada syndrome is characterized by
1. ST elevation
2. Prolonged PR interval
3. Prolonged QT interval
4. Tall T waves

Correct answer: 1. ST elevation

Explanation: Brugada syndrome is a rare syndrome characterized by >0.2 mV of ST-segment elevation with a coved ST segment and negative T wave in more than one anterior precordial lead (V1-V3) and episodes of syncope or cardiac arrest due to polymorphic VT in the absence of structural heart disease.Harrison 19e pg: 1497